Sulphur containing amino acids metabolism needs-
1. Pyridoxine
2. Folic acid
3. Vitamin B12
4. All of the above

Correct answer: 4. All of the above

Explanation: Sulphur containing amino acid metabolism requires three vitamins:- 1. Vitamin B6 (Pyridoxine), 2. Vitamin B9 (Folate) 3. Vitamin B12. Folate and vitamin B12 are required for one carbon transfer and Pyridoxine is required in Cystathionine Synthase, which converts Homocysteine to Cystathionine.